The following are live attenuated vaccines, except -
1. BCG
2. Oral typhoid
3. Measles
4. Pertussis

Correct answer: 4. Pertussis